Sabin Feldman dye test is used for diagnosis of:
1. Leishmaniasis
2. Echinococcosis
3. Toxoplasmosis
4. Balantidiasis

Correct answer: 3. Toxoplasmosis

Explanation: Ref. Textbook of Microbiology and Immunology BY Parija. Page. 500
 
Toxoplasma:
Tests include

Sabin-Feldman dye test, which tests for IgG antibodies
ELISAs targeted at IgM, IgA and IgE
Differential agglutination tests and IgG avidity tests.

Sabin Feldman Dye test

The test measures the total amount of antibody in serum which is capable of complement mediated killing of toxoplasma tachyzoites.
Serum is diluted across a microtitre plate and the end point is the dilution at which 50% of the tachyzoites are dead